A 38-year-old woman with a long history of shoulder pain is admitted to a hospital for surgery. Which of the following muscles becomes ischemic soon after ligation of the superficial or ascending branch of the transverse cervical artery?
1. Latissimus dorsi
2. Multifidus
3. Trapezius
4. Rhomboid major

Correct answer: 3. Trapezius

Explanation: The trapezius receives blood from the superficial branch of the transverse cervical artery. The latissimus dorsi receives blood from the thoracodorsal artery. The rhomboid major receives blood from the deep or descending branch of the transverse cervical artery. The multifidus and longissimus capitis receive blood from the segmental arteries.